Most common serotype of HPV associated with invasive cervical carcinoma is
1. HPV 16
2. HPV 18
3. HPV 32
4. HPV 36

Correct answer: 1. HPV 16